It is a type of nerve cell that protects CNS from infection and become phagocytic in response to inflammation
1. Schwann cells
2. Ependymal cells
3. Microglia
4. Astrocytes

Correct answer: 3. Microglia

Explanation: C: Microglia helps remove bacteria and cell debris from the CNS.
A: Schwann cells form myelin sheaths around axons, or enclose unmyelinated axons in the peripheral nervous system.
B: Ependymal cells line ventricles of the brain, circulate cerebrospinal fluid; some form choroid plexuses, which produce CSF.
D: Astrocytes serves as the major supporting tissue in the CNS and contribute to the blood-brain barrier.